Selective beta 2 blocker is ?
1. Butoxamine
2. Betoxolol
3. Esmolol
4. Bisoprolol

Correct answer: 1. Butoxamine

Explanation: Ans. is 'a' i.e., Butoxamine